This antihistaminic drug can cause cardiac arrhythmia at high dose by blocking cardiac K +  channels. It is most likely to be:
1. Levo-cetrizine
2. Fexofenadine
3. Astemizole
4. Loratidine

Correct answer: 3. Astemizole